Conjugated hyperbilirubinemia is seen in
1. Gilbert's syndrome
2. Dubin Johnson syndrome
3. Crigler Najjar syndrome
4. Breast milk jaundice

Correct answer: 2. Dubin Johnson syndrome